In prophylaxic of Manic depressive psychosis, drug used is -a) Lithium carbonateb) Carbamazepinec) Valproated) Haloperidol
1. abc
2. bc
3. acd
4. bcd

Correct answer: 1. abc